Erosive gastritis commonly occurs at -a) Bodyb) Fundusc) Lesser curvatured) Antrum
1. ac
2. a
3. ab
4. bc

Correct answer: 3. ab